Structure forming medial boundary of femoral ring is:
1. Inguinal ligament
2. Pecten pubis
3. Lacunar ligament
4. Conjoint tendon

Correct answer: 3. Lacunar ligament

Explanation: Ans. C i.e. Lacunar ligament